Most reliable method of identification of a person is-
1. Gustafson method
2. Galton method
3. Anthropometry
4. Scars

Correct answer: 2. Galton method